A study was done by collecting an X rays of all the patients who has ingested a foreign body in the past . It was observed that in most of the cases foreign body was found to be lodged in the right lung . All could be the possible reasons for the lodgement of foreign body in the right bronchus except :
1. Right inferior lobar bronchus is in continuation with the principal bronchus
2. Tracheal bifurcation directs the foreign body to the right lung
3. Right principal bronchus is more vertical than the left bronchus
4. Right lung is shorter and wider than left

Correct answer: 4. Right lung is shorter and wider than left

Explanation: Foreign body is likely to go in the right lung rather than left because of following characteristics of right bronchus :- Shorter in length Wider lumen More vertical Right inferior lobar bronchus is in continuation with the principal bronchus Option 4 - Right bronchus is shorter , more vertical and wider than the left (not the right lung ).